Which of the following is true about IgG antibody?
1. Produced in primary immune response
2. Cannot cross placenta
3. Provides local protection
4. Produced in secondary immune response

Correct answer: 4. Produced in secondary immune response

Explanation: IgG contains 2 heavy chains and 2 light chains;heavy chains being of gamma type. It is the major antibody;it constitutes of 75 -80% of total immunglobulins in circulation. It is the antibody seen in secondary immune response. It can pass from vascular compartment to interstiitial space. REFERENCE: DM VASUDEVAN TEXTBOOK SEVENTH EDITION ; PAGE NO : 688